During an operation, if a pair of scissors is left in abdomen, the doctrine applicable is:
1. Res integra
2. Res gestae
3. Res ipsa loquitor
4. Res judicata

Correct answer: 3. Res ipsa loquitor

Explanation: Ans. Res ipsa loquitor